Lentiform nucleus of Basal ganglia includes
1. Putamen and Caudate nucleus
2. Globus pallidus and caudate nucleus
3. Putamen and Globus Pallidus
4. Globus pallidus and Subthalamic nucleus

Correct answer: 3. Putamen and Globus Pallidus

Explanation: Putamen and Globus Pallidus together constitutes lentiform nucleus